Which of the following is not true regarding pernicious anemia?
1. Chronic atrophic gastritis
2. Increased red cell MCV
3. Increased risk of gastric carcinoma is unlikely
4. Elevated serum levels of methyl malonic acid

Correct answer: 3. Increased risk of gastric carcinoma is unlikely

Explanation: Pernicious anemia Autoimmune disorder affecting the gastric mucosa. Histologically, there is a chronic atrophic gastritis marked by a loss of parietal cells, a prominent infiltrate of lymphocytes and plasma cells. Can be associated with other autoimmune disorders, particularly autoimmune thyroiditis and adrenalitis. Atrophic glossitis may be present; CNS manifestations in 3/4th of florid cases - spastic paraparesis, sensory ataxia, paraesthesias (demyelination of the dorsal and lateral spinal tracts). The diagnosis is based on: a moderate to severe megaloblastic anemia, leukopenia with hypersegmented granulocytes, low serum vitamin B12, and elevated serum levels of homocysteine and methylmalonic acid Persons with atrophy and metaplasia of the gastric mucosa due to pernicious anemia are at increased risk for gastric carcinoma.